Alpha blocker used as anti hypertensive agent
1. Alpha methyl DOPA
2. Prazosin
3. Clonidine
4. Propranolol

Correct answer: 2. Prazosin